In which one of the following is the calcium content of milk lowest -
1. Human milk
2. Goat milk
3. Cow milk
4. Buffalo milk

Correct answer: 1. Human milk

Explanation: Human milk contain 28mg, Buffalo milk=210mg,cow milk=120,Goat milk=170REF. PARK'S TEXTBOOK OF PREVENTIVE AND SOCIAL MEDICAL 21ST EDITION. PAGE NO - 582